Pentose pathway is essential for the production of
1. NAD
2. FAD
3. NADPH
4. NADH

Correct answer: 3. NADPH

Explanation: The major metabolic role of the HMP shunt pathway is to provide cytoplasmic NADPH for reductive biosynthesis of fatty acids, cholesterol, and steroidsRef: DM Vasudevan, 7th edition, page no: 130